Platypnea means-
1. Dyspnea in the supine position and relief in upright position
2. Dyspnea in the upright position with relief in the supine position
3. Dyspena on exertion
4. Dyspnea waking up the patient during deep sleep

Correct answer: 2. Dyspnea in the upright position with relief in the supine position

Explanation: Platypnea is defined as dyspnea in the upright position with relief in the supine position.It is seen in left atrial myxoma or hepatopulmonary syndrome. Ref:Harrison's medicine-18th edition,page no:279